The advantage of using visible Light for light cure resins is
1. It is easily processed by any light source
2. Machine is easily available
3. It can cure the resin through enamel
4. The finish is better

Correct answer: 3. It can cure the resin through enamel